Inulin is a:
1. Glucosan
2. Fructosan
3. Galactosan
4. Mannosan

Correct answer: 2. Fructosan

Explanation: Glucosan (Glucan) - polymer of glucose (e.g. Cellulose) Fructosan (Fructan) - polymer of fructose (e.g. Inulin) Inulin homopolysaccharide of fructose. Source - garlic, onion neither absorbed nor secreted by renal tubules. Inulin clearance - Ideal for measuring Glomerular Filtration Rate (GFR) but it is not used widely as it has to be exogenously given to patient. Use : As a prebiotic